Metal fume fever is common in chronic poisoning with:
1. Mercury
2. Lead
3. Zinc
4. Thallium

Correct answer: 3. Zinc

Explanation: C i.e. Zinc